Which of the following about prerenal azotaemia is false?
1. Parenchymal damage to kidney
2. Physiological response to renal hypoperfusion
3. Certain drugs can provoke acute prerenal failure
4. Persistent renal hypoperfusion leads to ischaemic ATN

Correct answer: 1. Parenchymal damage to kidney

Explanation: PRERENAL AZOTEMIA Prerenal azotemia is the most common form of AKI. It is the designation for a rise in SCr or BUN concentration due to inadequate renal plasma flow and intraglomerular hydrostatic pressure to support normal glomerular filtration. The most common clinical conditions associated with prerenal azotemia are hypovolemia, decreased cardiac output, and medications that interfere with renal autoregulatory responses such as nonsteroidal anti-inflammatory drugs (NSAIDs) and inhibitors of angiotensin II By definition, prerenal azotemia involves no parenchymal damage to the kidney and is rapidly reversible once intraglomerular hemodynamics are restored Prolonged periods of prerenal azotemia may lead to ischemic injury, often termed acute tubular necrosis (ATN). Ref: Harrison 19e pg: 1800